Quiescent cells belong to which phase of cell cycle?
1. G1
2. G0
3. M
4. S

Correct answer: 2. G0

Explanation: To achieve DNA replication and division, the cell goes through a tightly controlled sequence of events known as the cell cycle. The cell cycle consists of G1 (presynthetic), S (DNA synthesis), G2 (premitotic), and M (mitotic) phases. Quiescent cells that have not entered the cell cycle are in the G0 state. Ref: Robbins, 8th edition, Chapter 3.